Which component of the eye has maximum refractive index -
1. Anterior surface of the lens
2. Posterior surface of the lens
3. Centre of the lens
4. Cornea

Correct answer: 3. Centre of the lens

Explanation: Lens has maximum refractive index among the refractive structures of eys. The refractive indices of the successive layers of lens increase from the periphery towards the nucleus. Therefore:- Anterior lens cortex- refractive index is 1.386. Posterior lens cortex -refractive index is 1.386. Centre of lens(nucleus)- Refreactive index is 1.46. Reference: AK khurana 7th edition